Directly acting, lipid-soluble cholinomimetic among the following is:
1. Physostigmine.
2. Pilocarpine.
3. Atropine.
4. Neostigmine.

Correct answer: 2. Pilocarpine.

Explanation: pilocarpine is directly acting while physostigmine is indirectly acting cholinomimetic and both are used for the treatment of glaucoma.